An elderly female presented with recurrent swelling of the upper eyelid. Histopathological evaluation revealed it to be a chalazion. What would he the histopathological finding?
1. Lipogranuloma
2. Suppurative granuloma
3. Foreign body granuloma
4. Xanthogranuloma

Correct answer: 1. Lipogranuloma

Explanation: Ans. a. Lipogranuloma In chalazion, pent-up secretions (fatty in nature) act like an irritant and excite non-infective lipogranulomatous inflammation of the blocked meibomian glands.